Which of the following statement is true about inspiratory capacity:
1. Tidal volume + volume expired forcefully
2. Volume remaining after forced expiration
3. Tidal volume + volume inspired forcefully
4. Volume remaining after normal expiration

Correct answer: 3. Tidal volume + volume inspired forcefully

Explanation: Ans. C Tidal volume + Volume inspired forcefullyFunctional residual CapacityIt represents the volume of air remaining in the lungs after expiration of a normal breath.Inspiratory capacityIt is the maximum amount of air inspired from end expiratory level.Vital lung capacityMaximum amount of air expired from fully inflated lung.Total lung capacityInspiratory reserve volume + Tidal volume + Expiratory reserve volume + Residual volume